In which case spontaneus regression is not seen -
1. Malignant Melanoma
2. Osteosarcoma
3. Neuroblastoma
4. Choriocarcinoma

Correct answer: 2. Osteosarcoma

Explanation: Ans is 'b' ie Osteosarcoma